Row of tombstones appearance is seen in -
1. Irritant dermatitis
2. Pemphigus
3. Pemphigoid
4. Herpes zoster

Correct answer: 2. Pemphigus

Explanation: The Suprabasal acantholytic blister is characteristic of pemphigus vulgaris. The single layer of intact basal cells that forms the blister base has been likened to a row of tombstones.